Breath sounds are decreased in following except
1. Lobar pneumonia
2. Pneumothorax
3. Pleural effusion
4. Atelectasis

Correct answer: 1. Lobar pneumonia

Explanation: Answer- A. Lobar pneumonia